Which of the following is not true about cystic fibrosis?
1. The defective gene encodes for the membrane protein called cystic fibrosis trans membrane channel regulator
2. Normal CFTR is an ion channel specific for calcium
3. Autosomal recessive
4. Altered pH of the surface secretions decreases bactericidal activity.

Correct answer: 2. Normal CFTR is an ion channel specific for calcium

Explanation: Cystic fibrosis transmembrane conductance regulator (CFTR) is a membrane protein and chloride channel in vertebrates that is encoded by the CFTR gene. The CFTR gene codes for an ABC transporter-class ion channel protein that conducts chloride ions across epithelial cell membranes.